A 5 yr old male child presented with H/O recurrent infection. O/E the child has rashes as shown below. Routine blood investigation reveal patient has low platelets. Which of the following diagnosis is possible?
1. Job syndrome
2. Wiskott Aldrich syndrome
3. Meales
4. Henoch Schoenlein purpura

Correct answer: 2. Wiskott Aldrich syndrome

Explanation: Possible Diagnosis isWiskott Aldrich syndrome X linked recessive WASP gene mutation More in boys Characterized byrecurrent infections, eczema like rash and thrombocytopenia